In a pregnant female with BP 150/100 mm Hg, a protein/creatinine ratio of --------- suggests development of preeclampsia:
1. > 0.20
2. > 0.30
3. . < 0.20
4. . < 0.30

Correct answer: 2. > 0.30

Explanation: Proteinuria is indicative of severe disease and is irreversible.significant proteinuria in pregnancy is 300mg in 24 hours urine.Severe preeclampsia is charecterised by 5g in 24 hours urine.Dipstick proteinuria can be used as a semiquantitative method. A 24 hour protein measurement is best method to quantify proterinuria. A less cumbersome method is by urinary protein creatinine ratio There is no consensus as to the cut off,but a reasonable eclusion ratio of .2 is suggested .A ratio of .3 or more is considered significant. TEXTBOOK OF OBSTETRICS,SHEILA BALAKRISHNAN,pg no:253,2nd edition